Example of an immune complex hypersensitivity reaction is:
1. Atopic allergy
2. Serum sickness
3. Transfusion reaction
4. Contact dermatitis

Correct answer: 2. Serum sickness